Pautriers microabscess is seen in -
1. Psoriasis
2. Mycosis fungoides
3. Lichen planus
4. Leprosy

Correct answer: 2. Mycosis fungoides

Explanation: In mycosis fungoides, T cells characteristically form bandlike aggregates within the superficial dermis and invade the epidermis as single cells and small clusters (Pautrier microabscesses).